Which of the following is the mosr common complication of immunosuppression
1. Malignancy
2. Graft rejection
3. Thrombocytopenia
4. Infection

Correct answer: 4. Infection